Intra oral pleomorphic adenoma usually occurs in
1. Buccal mucosa
2. Upper lip
3. Floor of the mouth
4. Palate

Correct answer: 4. Palate